Treatment of choice for chronic myeloid leukemia is :
1. Imatinib
2. Hydroxyurea
3. Interferon alpha
4. Cytarabine

Correct answer: 1. Imatinib